Asteroid Hyalosis bodies are composed of-
1. Iron
2. Calcium and phosphates
3. Cadmium and chloride
4. None

Correct answer: 2. Calcium and phosphates

Explanation: Ans. is 'b' i.e., Calcium and phosphates Asteroid hyalosis* Asteroid hyalosis is a degenerative condition of the eye involving small white opacities in the vitreous humor.* Clinically, these opacities are quite refractile, giving the appearance of stars (or asteroids) shining in the night sky--except that ocular asteroids are often quite mobile. Ocular asteroids must be distinguished from the more common typical vitreous floaters, which are usually fibrillar or cellular condensates. The cause of asteroid hyalosis is unknown, but it has been associated with diabetes mellitus, hypertension, hypercholesterolemia* The asteroid bodies are made up of hydroxyapatite, which in turn consists of calcium and phosphates.